5&;TTACGTAC-3' after transcription what will be the RNA
1. 5'-TTACGTAC-3'
2. 3'-TTACGTAC-5'
3. 5'-CATGCATT-3'
4. 5'-GUACGUAA-3'

Correct answer: 4. 5'-GUACGUAA-3'

Explanation: After transcription, the RNA will exchange order from 5' to 3' and 3' to 5' and T will be substituted by A, A by U, C by G.